Which of the following is not the new entity added in the proposed ICD-11?
1. Olfactory reference disorder
2. Compulsive sexual behavior disorder
3. Complex post-traumatic stress disorder
4. Schizophreniform disorder

Correct answer: 4. Schizophreniform disorder

Explanation: Ans. D Schizophreniform disorderOlfactory Reference Disorder is characterized by persistent preoccupation with the belief that one is emitting a perceived foul or offensive body odour or breath that is either unnoticeable or only slightly noticeable to others. Individuals experience excessive self-consciousness about the perceived odour, often with ideas of reference (i.e., the conviction that people are taking notice, judging, or talking about the odour).